Rosenthal's syndrome is seen in deficiency of factor -
1. II
2. V
3. IX
4. XI

Correct answer: 4. XI

Explanation: • Hemophilia C (Rosenthal syndrome): Due to factor XI deficiency